Tegmen seperates middle ear from the middle cranial fossa containing temporal lobe of brain by -
1. Medical wall of middle ear
2. Lateral wall of middle ear
3. Roof of middle ear
4. Anterior wall of middle ear

Correct answer: 3. Roof of middle ear

Explanation: The roof of middle ear is formed by a thin plate of bone called tegmen tympani. It separates tympanic cavity from middle cranial fossa.
Tegmen tympani is formed by squamous and petrous part of temporal bone.Q